A young lady is present with H/0 repeated episode of over eating (binge) followed by purging using laxatives, she probably suffering from-
1. Bulimia nervosa
2. Schizophrenia
3. Anorexia nervosa
4. Benign eating disorders

Correct answer: 1. Bulimia nervosa

Explanation: A i.e. Bulimia nervosa Binge eating (i.e. episodes of overeating in less time)followed by attempts to counteract the effects of overeating by - self induced vomiting, purgative abuse, appetite suppressants & periods of starvationQ is characteristically found in bulimia nervosa. Principal Diagnostic Criteria Anorexia nervosa 1. Over evaluation of shape & weight (i.e. judging self-woh largely, or exclusively, in terms of shape & weight) Active maintenance of an unduly low body weight (eg BMI < 17.5) Amenorrhea (in post menarcheal females who are not taking an OCP). This criteria is often omitted. Bulimia nervosa Over evaluation of shape & weight (i.e. judging self-woh largely, or exclusively, in terms of shape & weight) 2. Recurrent binge eating (i.e. episode of uncontrolled over eating)Q Extreme weight control behaviour (such as strict dieting, frequent self induced vomiting or laxative misuse) Diagnostic criteria of anorexia are not met. Binge eating disorder Recurrent binge eating in absence of extreme weight control behaviour Q (eg purging etc) seen in bulimia nervosa.